Which of the following is not a characteristic of right sided failure -
1. Pulmonary oedema
2. Ascites
3. Oliguria
4. Dependent

Correct answer: 1. Pulmonary oedema

Explanation: Ans. is 'a' i.e., Pulmonary edema Pulmonary edema is due to Lt sided heart failure that results in increased back pressure in pulmonary circulation. Signs of CHF in infants Left sided failure Tachypnea Tachycardia Cough Wheezing Rales in chest Hoarse Cry Failure of either side Cardiac enlargement Gallop rhythm (S3) Peripheral cyanosis Small volume pulse Absence of weight gain Oliguria Pulmonary edema Edema of feet Right sided failure Hepatomegaly Facial edema Jugar venous engrogment Ascites may occur in older children.